Angiotensin II causes A/E:
1. Stimulates release of ADH
2. Increases thirst
3. Vasodilation
4. Stimulates aldosterone release

Correct answer: 3. Vasodilation

Explanation: Ans. C. VasodilationActions of Angiotensin IIa. Angiotensin II binds to AT1 receptors in the zona glomerulosa which act via a G protein to activate phospholipase C. The resulting increase in protein kinase C fosters the conversion of cholesterol to pregnenolone and facilitates the action of aldosterone synthase, resulting in increased secretion of aldosterone. Angiotensin II is one of the most potent vasoconstrictors in body.b. Angiotensin II increases thirst sensation through the subfornical organ (SFO) of the brain, decreases the response of the baroreceptor reflex, and increases the desire for salt.c. It increases secretion of ADH in the posterior pituitary and secretion of ACTH in the anterior pituitary.d. It also potentiates the release of norepinephrine by direct action on postganglionic sympathetic fibers.